The clavipectoral fascia is penetrated by which artery?
1. Anterior circumflex humeral
2. Axillary
3. Subscapular
4. Thoracoacromial

Correct answer: 4. Thoracoacromial

Explanation: The thoracoacromial artery pierces the clavipectoral fascia before giving off its four branches: pectoral, clavicular, deltoid, and acromial. It supplies pectoralis major, pectoralis minor, the deltoid muscle, and the mammary gland. It is a branch off of the axillary artery. The axillary artery and all its other branches, including the anterior circumflex humoral and subscapular arteries, run deep to the clavipectoral fascia. The thoracodorsal artery is a branch of the subscapular artery which also runs deep to the fascia.